60 year female with tense bulla in lower extremity and subepidermal bullous lesion on microscopy, diagnosis is
1. Bullous pemphigoid
2. Pemphigus vulgaris
3. Erythema mulforme
4. Dermas herpeformis

Correct answer: 1. Bullous pemphigoid